All of the following may be seen with Neuroleptic malignant syndrome except -
1. Hypothermia
2. Altered consciousness
3. Muscle rigidity
4. Involuntary movements

Correct answer: 1. Hypothermia

Explanation: Ans. is 'a' i.e., Hypothermia Features of Neuroleptic malignant syndrome o Marked muscle rigidity o Semiunconciousness o High fever (not hypotermia) o Extrapyramidal effects (involuntary movement) o Autonomic instability (Fluctuating BP & Heart rate) o Increased CPK.